Monge's disease refers to:
1. Primary Familial Polycythemia
2. High Altitude Erythrocytosis
3. Spurious Polycythemia
4. Polycythemia Vera

Correct answer: 2. High Altitude Erythrocytosis

Explanation: Answer is B (High Altitude Erythrocytosis) lionge's disease (Chronic :Mountain Sickness) is also known as High Altitude Pathologic Erythrocytosis. Chronic Mountain Sickness; Monge's disease; (High Altitude Pathologic Erythrocytosis; High Altitude Excessive Polycythem a) * Excessive Erythrocytosis (Hb>19 /dL for females and 21/dL for males) Chronic Mountain Sickness is a clinical * Hypoxemia syndrome that occurs in natives or long? * Pulmonary hypertension (in some cases) life residents above 2500m. Headache, * Right heart failure or Cor-Pulmonale (in severe cases) dizziness and fatigue are typical initial * Recovery on descent to low altitude presenting symptoms